A 14 year old boy having lost his father a year ago, is caught shoplifting. The boy will be sent to
1. An orphanage
2. An anganwari
3. A prison
4. A remand home

Correct answer: 4. A remand home

Explanation: Ans. is 'd' i.e., A remand home